The fascia of Denonvilliers -
1. Membranous layer of fascia of the thigh
2. Perirenal fascia
3. Fascia between the rectal ampulla and the prostate and the seminal vesicles
4. Posterior layer of perirenal fascia

Correct answer: 3. Fascia between the rectal ampulla and the prostate and the seminal vesicles

Explanation: The posterior surface of prostate is separated from the rectum by the fascia of Denonvilliers which is the obliterated rectovesical pouch of the peritoneum.